Ondansetron is a potent :
1. Antiemetic
2. Anxiolytic
3. Analgesic
4. Antidepressant

Correct answer: 1. Antiemetic